Which of the following is not a feature of drug dependence -
1. Tolerance
2. Persistant desire to quit drug
3. Consumption of Large amount of drug over prolonged period
4. Use of illegal substances

Correct answer: 4. Use of illegal substances

Explanation: Drug dependence is not distinguished by the use of legal substances (like alcohol, opioids etc) or illegal substances (Cocaine etc.) and may be seen with both.